HIAA is a metabolite of:
1. Serotonin
2. Dopamine
3. Epinophrine
4. Histamine

Correct answer: 1. Serotonin

Explanation: Ans is 'a' i.e. SerotoninSerotonin or 5 hydroxytryptamine is catabolized to 5 Hydroxy indole acetic acid (5HIAA).The enzyme which catalyzes this reaction is - Monoamine oxidase.5 HIAA is excreted normally in urine. Normal adult excretes about 7 mg of HIAA per day.